Which of the following part of corpus callosum develops first
1. Dorsal part of genu
2. Ventral part of genu
3. Rostrum
4. Splenium

Correct answer: 1. Dorsal part of genu

Explanation: Ans. is 'a' i.e., Dorsal part of genuDuring development of corpus callosum, the dorsal part of genu and the body/trunk form first.Subsequently, ventral (anterior) part of genu and then the splenium arise.Last, the rostrum develops.